Anti androgen used in heart failure ?
1. Carvedilol
2. Sampatrilat
3. Spironolactone
4. Abiraterone

Correct answer: 3. Spironolactone

Explanation: Ans. is 'c' i.e., Spironolactone orT Spironolactone and eplerenone are the aldosterone antagonists. They are used as potassium sparing diuretics. Their diurectic effect is quite feeble, but in CHF these drugs reduce the mortality (at doses lower than diuretic doses) by antagonizing the effect of aldosterone (reversal of remodelling). Spironolactone also possesses anti- androgenic effects.